Abbey estender flap is based on:
1. Lingual artery
2. Facial artery
3. Labial artery
4. Internal maxillary artery

Correct answer: 3. Labial artery

Explanation: Ans. is 'c' i.e. Labial artery A flap is a skin graft which has its own blood supply. (Normally a skin graft to survive is revascularized by the recipient bed. A flap has its own blood supply.)Abbey flap is used for Lip reconstruction. It is based on main artery of the orbicularis oris, the labial artery.